Tigriod pattern on MRI is seen in -
1. Wilson's disease
2. Metachromatic leukodystrophy
3. Parkinsonism
4. GB syndrome

Correct answer: 2. Metachromatic leukodystrophy

Explanation: Ans. is 'b' i.e., Metachromatic leukodystrophyo The Leopard skin sign (also known as tigroid pattern or stripe sign) results from dark-spots or stripes (spared perivascular white) within bright demyelinated periventricular white matter on T2W images. It is characteristically seen in -# Metachromatic leukodystrophy# Pelizaeus-Merzbacher disease# Autosomal recessive spastic ataxia of charlevoix